In retrosternal goiter, most common presenting feature is-
1. Dysphagia
2. Stridor
3. Dyspnoea
4. Sup. vena caval syndrome

Correct answer: 3. Dyspnoea